Action of right superior oblique muscle is-
1. Dextro depression
2. Dextro elevation
3. Levo elevation
4. Levo depression

Correct answer: 4. Levo depression

Explanation: Levodepression is movement to the left and downside. It is caused by simultaneous action of left inferior rectus and right superior oblique muscle Dextroelevation: Right superior rectus and left inferior oblique Levoelevation: Left superior rectus and right Inferior oblique Dextroversion: Right lateral rectus and left medial rectus Levoversion: Left lateral rectus and right medial rectus Dextrodepression: Right inferior rectus and left superior oblique Ref; A K Khurana ; 6 th edition ; Page no: 339